A 29-year-old female diagnosed with AIDS has been suffering from a progressive blurring of vision in her right eye. On fundoscopic examination, a small white opaque lesion is noted on the retina of her right eye. Most appropriate therapy for this patient?
1. Acyclovir
2. Amantadine
3. Flucytosine
4. Ganciclovir

Correct answer: 4. Ganciclovir

Explanation: This is the history of retinitis caused by CMV. CMV belongs to herpes group of viruses. It is also called as HSV5. The site of latent infection is the kidney and the salivary glands. This virus is the most common cause of opportunistic infection after solid-organ transplant and is also the most common cause of intrauterine infections. It produces intra-nuclear inclusions, which are called as owl-eye inclusions. The drug of choice is ganciclovir